Which of the following prostaglandin analogues used in Glaucoma
1. Misoprostol
2. Latanoprost
3. Enprostil
4. Rioprostil

Correct answer: 2. Latanoprost

Explanation: (Latenoprost): Ref: 88-KDT, 394-Khurana 3rd (147-KDT 6th)* Prostagland analogues used in Peptic ulcer are - Misoprostol Enprostil, Rioprostil (588-KDT)* LATANOPROST (0.0005%) It is synthetic drug which is an ester analogue of prostagland in F2a* It acts by increasing uveoscleral outflow and by causing reduction in episcleral venous pressure* Side effects - conjunctival hyperaemia, foreign body sensation and increased pigmentation of the iris.